Frequency of sound waves used for transabdominal ultrasonography is
1. 2.5-3.5 MHz
2. 3.5-5.0 MHz
3. 5.0-7.5 MHz
4. 7.5-10 MHz

Correct answer: 2. 3.5-5.0 MHz

Explanation: Ans. 3.5-5.0 MHz